Centrum of vertebra is formed from
1. Pre axial mesoderm
2. Notochord
3. Paraxial mesoderm
4. Somatic mesoderm

Correct answer: 3. Paraxial mesoderm

Explanation: In the vertebrate spinal column, each vertebra is an irregular bone with... The upper and lower surfaces of the centrum are flattened and rough in order to give attachment to the intervertebral discs.BD CHAURASIA S HUMAN ANATOMY Vol1